Specifivity of a test refers to its ability to detect -
1. True positive
2. True negative
3. False negative
4. False positive

Correct answer: 2. True negative

Explanation: Ref:Parks 23rd edition pg 136 specificity is defined as the ability of a test to identify those who do not have the disease. That is true negatives.